Level of prevention that includes specific protection
1. Primordial
2. Primary
3. Secondary
4. Tertiary

Correct answer: 2. Primary

Explanation: Specific protection targets a type or group of diseases and complements the goals of health promotion. Ref: 25th edition, Park's Textbook of Preventive and Social Medicine, Page no. 48